A drug that compete for active binding site is called:
1. Competitive inhibitor
2. Non–competitive inhibitor
3. Covalent inhibitor
4. Any of these

Correct answer: 1. Competitive inhibitor